. Swarming growth on culture is characteristic of which Gram-negative organism?
1. Clostridium welchii
2. Clostridium tetani
3. Bacillus cereus
4. Proteus mirabilis

Correct answer: 4. Proteus mirabilis

Explanation: Ans. is 'd' i.e., Proteus mirabilis Swarmin growth . Swarming growth is due to motility of bacteria. . In young culture discrete colonies are seen but thereafter actively motile cells spread on the surface of the plate in successive waves to form a thin filmy layer in concentric circles.